In recurrent chalazion, histopathological examination is done to rule out
1. Sebaceous gland carcinoma
2. Squamous cell carcinoma
3. Adenocystic carcinoma
4. Basal cell carcinoma

Correct answer: 1. Sebaceous gland carcinoma

Explanation: (A) Sebaceous cell carcinoma) (430-Nema 6th, 457 - Parson 21st)Chalazion* MALIGNANT CHANGES OCCUR BUT RARE. HOWEVER IN ALL CASES WITH RECURRENCES OR THOSE OCCURRING IN ELDERLY INDIVIDUALS THE LESION SHOULD BE BIOPSIED TO RULE OUT A MEIOBOMIAN CELL CARCINOMA (444-PARSON 21STl* A recurring chalazion, histopathological examination to rule out adenocarcinoma of the meiobomiangland (417,430- Nelson 6th).* Meibomian gland carcinoma may be seen in elderly people (368-Khurana 5th).* Sebaceous gland carcinoma (385 Khurana 5th) arising from meibomian glands. However Indian Literature reports the sebaceous gland carcinoma being the commonest malignancy of eyelid followed by basal and squamous cell carcinoma.Common malignant tumours of the eyelidTypeCommon locationClinical featuresSpreadTherapyBasal cell carcinomaMedial canthus / lower lidNodule, central ulceration with pearly surface, telangiectasiaLocalResection, radiationSquamous cell carcinomaLower lid, from previous actinic keratosisUlcer with thickened margins, keratosisLocal, lymph nodesResection, radiation cryotheraphySebaceous cell carcinomaUpper lidPapillomatous Nodule resembling chalazion, multifocal, females > males, recurrences commonLocal,Intraepithelial lymph nodesResection, cryotheraphy exenterationMalignant melanomaPrevious nevi>6 mm size pigmented lesion, vascularization, inflammationLocal, vascular, lymph nodesResection, exenteration